About 6 - 8 hours after peptic perforation the disappearance of abdominal wall rigidity is due to -
1. Cessation of acid secretion in the stomach
2. Revival from initial shock
3. Dilution of acid in the peritonial cavity
4. Fatigue of reflex arc.

Correct answer: 3. Dilution of acid in the peritonial cavity